A tuft of flagella present at one or both ends of bacterial cell is  known as:
1. Monotrichous
2. Amphitrichous
3. Lophotrichous
4. Peritrichous

Correct answer: 3. Lophotrichous

Explanation: Arrangement/Types
(i) Monotrichous—Single polar flagellum at one end. e.g. Vibrio cholerae.
(ii) Amphitrichous—Single flagellum at both the ends. e.g. Alcaligenes faecalis.
(iii) Lophotrichous—Tuft of flagella at one or both ends. e.g. Spirilla.
(iv) Peritrichous—Flagella arranged all round the cell. e.g. Salmonella typhi.